A 40-yr-female progressive dyspnea from 1 yr. She also has b/I bibasilar end inspiratory crepitation. The true statement is:
1. May be assocated with connective tissue disease
2. Residual volume (upword arrow) ed
3. (upward arrow) Total lung capacity (TLC)
4. None

Correct answer: 1. May be assocated with connective tissue disease

Explanation: The patient is having interstitial inflammatory lung disease with progressive dyspnea & bilateral basal end-inspiratory crackles.9% of ILD can be associated with connective tissue disorders like, SLE, Rheumatoid arthritis, Ankylosing spondylitis, Systemic sclerosis, Sjogren's syndrome, polymyositis-dermatomyositis. 
In ILD associated with connective tissue disorders, clinical findings suggestive of it like musculoskeletal pain, weakness, fatigue, fever, joint pain or swelling, photosensitivity, Raynaud's phenomenon, pleuritis, dry eyes, dry mouth etc can be present.